Amyloid deposits stain with all of the following except:
1. Congo-Red
2. Crystal Violet
3. Methenamine Silver
4. Thioflavin T

Correct answer: 3. Methenamine Silver

Explanation: Microscopically amyloid deposits stain Pink with Hematoxylin-eosin stain Show metachromasia with Crystal violet Congo red stain (Most common) imparts a unique apple green birefringence with stained tissue section,When viewed using polarizing microscope. Fluorescent dyes such as Thioflavin T are sensitive screening stains for amyloid deposits in brain FIG:- Black arrow showing pink red deposits of amyloid Red arrow showing yellow-green birefringence of the deposits when observed under polarizing microscope